Most common cause of acute intestinal obstruction in children is
1. Volvulus
2. Inguinal hernia
3. Intussusception
4. None

Correct answer: 3. Intussusception